Unilateral proptosis with bilateral VIth nerve palsy, diagnosis is:
1. Grave's disease
2. Retinoblastoma
3. Pseudotumour of orbit
4. Cavernous sinus thrombosis

Correct answer: 4. Cavernous sinus thrombosis

Explanation: D i.e. Cavernous sinus thrombosis